Which of the following anticancer drugs acts by hypomeyhylation
1. Gemcitabine
2. 5-FU
3. Decitabine
4. Homoharringotonine

Correct answer: 3. Decitabine

Explanation: DNA hypomeyhylating agents are used in the treatment of myelodyplastic syndromes The agents in this group include Azacytidine Decitabine Refer Harrison 17th/671